Technitium-99 scan is used for diagnosis of -
1. Meckel's diverticulum
2. Appendix
3. Volvulus
4. Obstruction

Correct answer: 1. Meckel's diverticulum

Explanation: Technetium - 99m pertechnetate scan, also known as Meckel's scan, is used primarily in the pediatric setting for diagnosis of Meckel's diverticulum.